Large nasal cavity with thick crust formation internally and 'woody' feel of external nose is TRUE about?
1. Rhinoscleroma
2. Rhinosporidiosis
3. Atrophic rhinitis
4. Vasomotor rhinitis

Correct answer: 1. Rhinoscleroma

Explanation: Rhinoscleroma is caused by the gram-negative coccobacillus K rhinoscleromatis. The disease begins in areas of epithelial transition such as the vestibule of the nose, the subglottic area of the larynx. It resembles atrophic rhinitis in atrophic stage. Subdermal infiltration of lower part of external nose and upper lip gives a 'woody' feel. Atrophic rhinitis is characterised by progressive atrophy of the nasal mucosa along with the underlying bones of turbinates. There is also presence of foul smelling crusts. But woody external nose is not seen.